Maximum shortening of limbs occur in:
1. Trochantric femur
2. Post dislocation of hip
3. neck femur
4. Anterior dislocation of hip

Correct answer: 2. Post dislocation of hip

Explanation: B i.e. Posterior dislocation of hip